Stye is an acute suppurative infection of
1. Gland of zeis
2. Meibomian gland
3. Both
4. Lacrimal gland

Correct answer: 1. Gland of zeis

Explanation: Stye or Hordeolum externum is an acute suppurative staphylococcal infection of gland of zeis or gland of moll.